Baby with history of convulsion vaccine contraindicated is -
1. DPT
2. Measles
3. BCG
4. Rubella

Correct answer: 1. DPT

Explanation: Ans. is 'a' i.e., DPT Guide to Contraindications1 and Precautions to Commonly Used VaccinesVaccineContraindicationsPrecautionsHepatitis B (HepB)o Severe allergic reaction (e.g., anaphylaxis) after a previous dose or to a vaccine componento Moderate or severe acute illness with or without fevero Infant weighing less than 2000 grams (4 lbs, 6.4 oz)Rotavirus (RV5 , RV1 (Rotarix])o Severe allergic reaction (e.g., anaphylaxis) after a previous dose or to a vaccine componento Severe combined immunodeficiency (SCID)o History of intussusceptiono Moderate or severe acute illness with or without fevero Altered immunocompetence other than SCIDo Chronic gastrointestinal diseaseo Spina bifida or bladder exstrophyDiphtheria,tetanus, pertussis(DTaP)Tetanus,diphtheria,pertussis (Tdap)o Severe allergic reaction (e.g., anaphylaxis) after a previous dose or to a vaccine componento For pertussis-containing vaccines: encephalopathy (e.g., coma, decreased level of consciousness, prolonged seizures) not attributable to another identifiable cause within 7 days of administration of a previous dose of DTP or DTaP ( for DTaP); or of previous dose of DTP, DTaP, or Tdap (for Tdap)o Moderate or severe acute illness with or without fevero Guillain-Barre syndrome (GBS) within 6 weeks after a previous dose of tetanus toxoid-containing vaccineo History of arthus-type hypersensitivity reactions after a previous dose of tetanus or diphtheria toxoid-containing vaccine; defer vaccination until at least 10 years have elapsed since the last tetanus-toxoid containing vaccineo For pertussis-containing vaccines: progressive or unstable neurologic disorder (including infantile spasms for DTaP), uncontrolled seizures, or progressive encephalopathy until a treatment regimen has been established and the condition has stabilizedTetanus,diphtheria (DT, Td)For DTaP only:o Temperature of 105deg F or higher (4Q.5CC or higher) whthin 48 hours after vaccination with a previous dose of DTP.'DTaPo Collapse or shock-like state (i.e., hypotonic hyporesponsive episode) within 48 hours after receiving a previous dose of DTP/DTaPo Seizure within 3 days after receiving a previous dose of DTP DTaPo Persistent, inconsolable crying lasting 3 or more hours within 48 hours after receiving a previous dose of DTP.' DTaPHaemophilus influenzae type b (Hib)o Severe allergic reaction (e.g., anaphylaxis) after a previous dose or to a vaccine componento Age younger than 6 weekso Moderate or severe acute illness with or without feverInactivatedPoliovirusvaccine (IPV)o Severe allergic reaction (e.g., anaphylaxis) after a previous dose or to a vaccine componento Moderate or severe acute illness with or without fevero PregnancyPneumococcal(PCV13 orPPSV23)o For PCV13, severe allergic reaction (e.g., anaphylaxis) after a previous dose of PCV7 or PCV13 or to a vaccine component, including to any vaccine containing diphtheria toxoido For PPSV23, severe allergic reaction (e.g.. anaphylaxis) after a previous dose or to a vaccine componento Moderate or severe acute illness with or without feverMeasles, mumps,rubella (MMR)o Severe allergic reaction (e.g., anaphylaxis) after a previous dose or to a vaccine componento Known severe immunodeficiency (e.g., from hematologic and solid tumors, receipt of chemotherapy, congenital immunodeficiency, or long-term immunosuppressive therapy5 or patients with human immunodeficiency virus infection who are severely immunocompromised)o Pregnancyo Moderate or severe acute illness with or without fevero Recent (within 11 months) receipt of antibody-containing blood product (specific interval depends on product)o History of thrombocytopenia or thrombocytopenic purpurao Need for tuberculin skin testingVaricella (Var)o Severe allergic reaction (e.g., anaphylaxis) after a previous dose or to a vaccine componento Known severe immunodeficiency (e.g., from hematologic and solid tumors, receipt of chemotherapy, primary or acquired immunodeficiency, or long-term immunosuppressive therapy''1 or patients with HIV infection wrho are severely immunocompromised)- o Pregnancyo Moderate or severe acute illness with or without fevero Recent (within 11 months) receipt of antibody-containing blood product (specific interval depends on product)o Receipt of specific antivirals (i.e., acyclovir, famciclovir, or valacvclo- vir) 24 hours before vaccination; avoid use of these antiviral drugs for 14 days after vaccinationHepatitis A(HepA)o Severe allergic reaction (e.g., anaphylaxis) after a previous dose or to a vaccine componento Moderate or severe acute illness with or without feverInfluenza,Inactivatedinjectable (IIV)o Severe allergic reaction (e.g., anaphylaxis) after a previous dose of any IIV or LAIV or to a vaccine component, including egg proteino Moderate or severe acute illness with or without fevero History of GBS within 6 weeks of previous influenza vaccinationo Persons who experience only hives with exposure to eggs may receive RIV (if age 18-49) or, with additional safety' precautions, IIV.Influenza,recombinant (RIV)o Severe allergic reaction (e.g., anaphylaxis) after a previous dose of RIV or to a vaccine component. RIV does not contain any egg protein.o Moderate or severe acute illness with or without fevero History of GBS within 6 weeks of previous influenza vaccinationInfluenza, liveattenuated(LAIV)o Severe allergic reaction (e.g., anaphylaxis) after a previous dose of IIV or LAIV or to a vaccine component, including egg proteino Conditions for which the AC IP recommends against use, but which are not contraindications in vaccine package insert: immune suppression, certain chronic medical conditions such as asthma, diabetes, heart or kidney disease, and pregnancyo Moderate or severe acute illness with or without fevero History of GBS within 6 weeks of previous influenza vaccinationo Receipt of specific antivirals (i.e., amantadine, rimantadine, zanamivir, or oseltamivir) 48 hours before vaccination. Avoid use of these antiviral drugs for 14 days after vaccination.Humanpapillomavirus(HPV)o Severe allergic reaction (e.g., anaphylaxis) after a previous dose or to a vaccine componento Moderate or severe acute illness with or without fevero PregnancyMeningococcal:conjugate (MCV4),polysaccharide (MPSV4)o Severe allergic reaction (e.g., anaphylaxis) after a previous dose or to a vaccine componento Moderate or severe acute illness with or without feverZoster (HZV)o Severe allergic reaction (e.g., anaphylaxis) to a vaccine componento Known severe immunodeficiency (e.g.. from hematologic and solid tumors, receipt of chemotherapy, or long-term immunosuppressive therapy5 or patients with HIV infection who are severely immunocompromised),o Pregnancyo Moderate or severe acute illness with or without fevero Receipt of specific antivirals (i.e., acyclovir, famciclovir, or valacyclovir) 24 hours before vaccination; avoid use of these antiviral drugs for 14 days after vaccination